KVP in X ray determines -
1. Kilovolt potential
2. Kilovolt peak
3. Kilovolt power
4. Kilovolt per minute

Correct answer: 2. Kilovolt peak

Explanation: Ans. is 'b' i.e., Kilovolt peak {Ref: Grainger 6th/e p. 154]o Two exposure factors are importantKilovolt peak (KVP) : - It is the voltage which is applied between filament (cathode) and target (anode). It creates an electrical potential between the anode and cathode so the electron from the cathode travel to the anode. It provides kinetic energy to x-ray* therefore it is responsible for penetrating power of x-rays, higher the KVP more the penetrating power of x-rays. Contrast is also influenced by KVP, lower the KVP higher the contrast (contrast is the difference in optical densities in the various regions of x-ray film which allows for differentiation of anatomic structures).Milliampere second (mAs) :- It is the combination of electric current for heat production at cathode. It determines the number of x-ray photons. It controls the density of the film, i.e., amount of blackening of film (Density refers to overall blackening of the film).